Mucopolysaccharidoses are caused by
1. An increased rate of synthesis of proteoglycans
2. Defects in the degradation of proteoglycans
3. The synthesis of polysaccharides with an altered structure
4. An insufficient amount of proteolytic enzymes

Correct answer: 2. Defects in the degradation of proteoglycans

Explanation: Mucopolysaccharides are excreted in urine in abnormal amounts in the group of lysosomal storage disorders known as mucopolysaccharidoses. They can be detected by 2D gel electrophoresis techniques; some mucopolysaccharides can also be detected by simple urine screening tests like CPC test, Cetavlon test and Alcian blue staining.Ref: D M Vasudevan 7th edition Page no: 80